Rytand's murmur is heard in
1. Mitral Stenosis
2. PDA
3. Complete AV block
4. Acute rheumatic fever

Correct answer: 3. Complete AV block

Explanation: Rytand's murmur is mid diastolic murmur in complete heart block.